Which of the following is not a nucleoside reverse transcriptase inhibitor?
1. Zalcitabine
2. Lamivudine
3. Nevrapine
4. Didanosine

Correct answer: 3. Nevrapine

Explanation: Nevirapine is a non nucleoside reverse transcriptase inhibitor. It directly inhibit HIV reverse transcriptase without the need for intracellular phosphorylation. It is well absorbed orally and is extensively metabolized in the liver. It induces cytochrome p450 enzyme thereby enhancing its own metabolism and the metabolism of other drugs. Side effects include rash, headache, fever and elevation of liver enzymes. Ref: Essentials of Medical Pharmacology By K D Tripathi, 5th Edition, Page 725-30